Which of the following is called as Klatskin's tumor
1. Fibrolamellar hepatocelluar carcinoma
2. Hilar cholangiocarcinoma
3. Gall bladder adenocarcinoma
4. Intrahepatic cholangiocarcinoma

Correct answer: 2. Hilar cholangiocarcinoma

Explanation: Perihilar cholangiocarcinoma is also called Klatskin tumors. They occur at the bifurcation of right and left hepatic ducts.